Which of following is not seen in nephritic syndrome:
1. Edema
2. Hematuria
3. Hypertension
4. Hypocholesterolemia

Correct answer: 4. Hypocholesterolemia

Explanation: d. Hypocholesterolemia(Ref: Nelson's 20/e p 2521-2528, Ghai 8/e p 477-482)Features of nephritic syndrome are: Hematuria and RBC casts, Nephritic range Proteinuria (<3.5g/day), hence edema is present, Hypertension, Uremia and Oliguria.